Which of the following finish lines is indicated for facial surfaces of metal ceramic restorations
1. Shoulder
2. Chamfer
3. Chisel edge
4. Feather edge

Correct answer: 1. Shoulder